Virus lacking hemagglutinin and neuraminidase but having membrane fusion protein is -
1. RSV
2. CMV
3. HSV
4. EBV

Correct answer: 1. RSV

Explanation: RSV differs from another paramyxovirus in not possessing hemaglutinin activity it also does not have neuraminidase or hemolytic activity REF:ANANTHANARYANAN TTEXTBOOKOF MICROBIOLOGY 9EDITION PGNO.510